Post dislocation of hip leads to which attitude of the lower leg:
1. Adduction, external rotation and flexion
2. Adduction, internal rotation and flexion
3. Abduction, external rotation and flexion
4. Abduction, internal rotation and flexion

Correct answer: 2. Adduction, internal rotation and flexion

Explanation: B i.e. Adduction , internal rotation and flexion